Functional efficiency of lacrimal drainage system may be assessed by:
1. Lacrimal syringing
2. Subtraction macrodacryocystography
3. Radionucleotide dacryocystography
4. All of the above

Correct answer: 3. Radionucleotide dacryocystography

Explanation: Ans. Radionucleotide dacryocystography